Which of the following is not a feature of dermatomyositis?
1. 'V' sign
2. Holster sign
3. Pokiloderma
4. Groove sign

Correct answer: 4. Groove sign

Explanation: Ans. is 'd' i.e., Groove sign * Groove sign (a depression along the course of a vein or between muscle groups) is seen in deep morphea.Cutaneous signs od dermatomyositisi) Gottron's papules: lilac or violaceous papules on knuckles and dorsa of handsii) Gottron's sign: violaceous erythema with edema over shoulders, arms and forearmsiii) Heliotrope sign: violaceous erythema with edema over eyelids, periorbital regioniv) Poikiloderma: atrophy of skin, hypopigmentation, dialalted blood vessels over trunkv) Mechanic hand: symmetrical hyperkeratosis on ulnar aspect of thumb and radial aspect of fingersvi) Shawl sign: violaceous erythema extending from dorsolateral aspect of hands, forearms and arms to shoulders and neck.vii) 'V' sign: violaceous erythema in a V shaped distribution over anterior neck and chest.viii) Holster sign: b/1 symmetrical, patchy macular violaceous erythema displayibg a reticuloid or levidoid array over the lateral aspect of upper thigh and hips.ix) Calcinosis cutis: calcium deposits in skin (in juvenile variant)x) Miscellaneous signs: Photosensitivity, vasculitis, panniculitis, Nail-fold telangiectasia